Earliest clinical sign of gingivitis is:
1. Bleeding on probing
2. Change in colour
3. Change in contour
4. Change in size

Correct answer: 1. Bleeding on probing